Margins of squamous cells carcinoma is -
1. Inverted
2. Everted
3. Rolled
4. Undermined

Correct answer: 2. Everted